MANTREL score is done for
1. Acute appendicitis
2. Acute pancreatitis
3. Acute cholecystitis
4. Acute salpingitis

Correct answer: 1. Acute appendicitis

Explanation: Ans. (a) Acute appendicitisCharacteristicScoreM = Migration of pain to the RLQ1A = Anorexia1N = Nausea and vomiting1T = Tenderness in RLQ2R = Rebound pain1E = Elevated temperature1L = Leukocytosis2S = Shift of WBCs to the left1Total10RLQ = right lower quadrant; WBCs = white blood cells